True about Major depressive disorder:
1. Abnormally diminished activity in prefrontal cortex
2. Genetic predisposition is present
3. Monoaminergic system disturbances
4. All

Correct answer: 4. All

Explanation: A, C, B i.e. Abnormally diminished activity in prefrontal cortex, Monoaminergic system disturbances, Genetic predisposition is present